DITRA syndrome is associated with mutation in:-
1. IL-36
2. IL-46
3. IL-10
4. IL-26

Correct answer: 1. IL-36

Explanation: DITRA Syndrome: Deficiency of IL-36 Receptor Antagonist -Unregulated IL 36 Autosomal recessive Increase risk of development of generalized pustular psoriasis in the Patient.